The following are lined with pseudostratified ciliated columnar epithelium except?
1. Nasal cavity
2. Paranasal air sinuses
3. Vocal cords
4. Trachea

Correct answer: 3. Vocal cords

Explanation: Vocal cords, due to constant friction, are lined with stratified squamous non-keratinized epithelium Pseudostratified ciliated columnar epithelium in the upper respiratory tract and trachea Non-ciliated pseudostratified columnar epithelia are located in the membranous part of vas deferens Reference: Chaurasia; 6th edition.